In a case of glomerulonephritis (GN) , C3 is normal in all the following except?
1. Diffuse lupus nephritis
2. Good pasteur's syndrome
3. IgA nephropathy
4. HSP

Correct answer: 1. Diffuse lupus nephritis

Explanation: Low C3 nephritis is observed in: Post-infectious GN, MPGN(Membranoproliferative GN) SLE Subacute bacterial endocarditis Cryoglobulinemia, shunt nephritis